When is the World No Tobacco Day celebrated?
1. 1st May
2. 31st May
3. 1st August
4. 31st August

Correct answer: 2. 31st May

Explanation: World no tobacco day is celebrated on 31st May. Ref: Health policies and programmes in India, D.K. Taneja 11th edition page: 368